Which of the following is not a component of cognitive triad of Beck?
1. Hopelessness
2. Worthlessness
3. Helplessness
4. Guilt

Correct answer: 4. Guilt

Explanation: Ans. d. Guilt (Ref: Niraj Ahuja 7e p164)Beck 's cognitive triad involves negative thoughts about the self (the self is worthless) , the world/environment (i.e. the world is unfair, helpless), and the future (the future is hopeless)."Beck's cognitive triad represents three types of negative thoughts present in depression, as proposed by Aaron Beck in 1976. The triad forms part of his cognitive theory of depression The triad involves negative thoughts about: The self (i.e. the self is worthless) ; The world/environment (i.e. the world is unfair; helpless), and The future (i.e. the future is hopeless)."DSM IV Criteria for Major Depressive EpisodeFive (or more) of the following symptoms have been present during the same 2-week period and represent a change from previous functioning; at least one of the symptoms is either (1) depressed mood or (2) loss of interest or pleasure.Note: Do not include symptoms that are dearly due to a general medical condition, or mood-incongruent delusions or hallucinations.Depressed mood most of the day, nearly every day, as indicated by either subjective report (e.g. feels sad or empty) or observation made by others (e.g. appears tearful).Markedly diminished interest or pleasure in all, or almost all, activities most of the day, nearly everydaySignificant weight loss w hen not dieting or weight gain (e.g. a change of more than 5% of body weight in a month) or decrease or increase in appetiteInsomnia or hypersomnia nearly everydayPsychomotor agitation or retardationFatigue or loss of energy nearly everydayFeelings of worthlessness or excessive or inappropriate guilt (which may be delusional)Diminished ability to think or concentrate, or indecisivenessRecurrent thoughts of death (not just fear of dying), recurrent suicidal ideation.The symptoms do not meet criteria for a mixed episode.The symptoms cause clinically significant distress or impairment in soeial, occupational, or other important areas of functioning.The symptoms are not due to the direct physiological effects of a substance (e.g. a drug of abuse, a medication) or a general medical condition (e.g. hypothyroidism).The symptoms are not better accounted for by bereavement, i.e. after the loss of a loved one, the symptoms persist for longer than 2 months or are characterized by marked functional impairment, morbid preoccupation with worthlessness, suicidal ideation, psychotic symptoms, or psychomotor retardation.